In children with type IDM when is ophthalmologic evaluation indicated
1. At the time of diagnosis
2. After 1 year
3. After 2 years
4. After 5 years

Correct answer: 4. After 5 years

Explanation: Ophthalmologic examination should be conducted once the child is >10 yr of age and has had diabetes for 3 -5 year. Annual follow up should suggest. Reference: OP Ghai,essential paediatrics,8 th edition, page no 546